Klippel-Trenaunay syndrome associated with all except:
1. Port wine stain
2. Varicose veins
3. Limb lengthening
4. Fused vertebra

Correct answer: 4. Fused vertebra

Explanation: KLIPPEL-TRENAUNAY SYNDROME Characterized by Congenital AV fistula Cutaneous hemangioma Varicose veins Hypertrophy of involved extremity Absence of deep venous system